A 45 year old female is diagnosed as a case of pneumococcal meningitis.Her blood sample were sent for culture sensitivity. In the mean time best drug to start as an empirical treatment is
1. Penicillin G
2. Doxycycline
3. Streptomycin
4. Vancomyin + Ceftriaxone

Correct answer: 4. Vancomyin + Ceftriaxone

Explanation: Harrison's textbook of internal medicine 17th edition . *Treatment of choice for pneumococcal meningitis is cetriaxone (2g q 12h) plus vancomycin (1g q 12h).